All the following are angiogenic factors EXCEPT:
1. VEGF
2. PDGF
3. IFN
4. TGF^

Correct answer: 3. IFN

Explanation: ANSWER: (C) IFNREF: Wintrobes Clinical Hematology 11th ed Table 22.1 "IFN-a, -ft; IL-4, -12, -18 are inhibitors of angiogenesis"ACTIVATORS OF ANGIOGENESIS:ActivatorsFunctionVEGF, VEGF-C, P1GF, and homologsStimulate angiogenesis, permeability'; stimulate lymphangiogenesis, pathologic angiogenesis.VEGFRVEGFR-2: angiogenic signaling; VEGFR-3: (lymph) angiogenic signaling.Angl and Tie2 receptorAngl: stabilizes vessels, inhibits permeability.Platelet-derived growth factor-BB and receptorsRecruit smooth muscle cells.TGF-fi 1, endoglin, TGF-ss receptorsStabilize vessels by stimulating ECM production.Fibroblast growth factor, hepatocyte growth factor, monocyte chemotactic protein-1Stimulate angiogenesis, stimulate arteriogenesis.Integrins a Vss 3, aVss 5MMP receptors.VE-cadherin, platelet-EC adhesion moleculeEC junctional molecules, promote EC survival.EphrinsRegulate arterial/Venous specifications.Plasminogen activators, MMPsCell migration and matrix remodeling; liberate bFGFA/EFG from ECM; activate TGF-ss 1; generate angiostatin.Plasminogen activator inhibitor-1Stabilizes nascent vessels (prevents ECM dissolution)Nitric oxide synthase, cydooxygenase-2Nitric oxide/prostaglandins stimulate angiogenesis and vaso dilation.AC 133Angioblast differentiation.INHIBITORS OF ANGIOGENESIS:InhibitorsFunctionVEGFR-1, soluble VEGFR-1, and NP-1Sink for VEGF, VEGF-B, P1GF (VEGFR-1), and VEGFR 165 (NP-1)Ang2Angl antagonist; induces vessel regression in absence of angiogenic signalsTSP-1ECM proteins; inhibits EC migration, growth, and adhesionTSP-2Inhibits angiogenesisMeth-1, Meth-2Contain metalloprotease, thrombospondin, and disintegrin domainsAngiostatin and related plasminogen kringlesInhibit EC survival and migrationEndostatinInhibits EC survival and migrationVasostatin, calreticulinInhibit EC growthPlatelet factor-4Heparin-binding molecule; inhibits binding of bFGF and VEGFTissue inhibitors of metalloproteinases, MMP inhibitorsSuppress pathologic angiogenesisProteolytic fragment of MMPInhibits binding of MMP2 to a Vss 3IFN-a, -ss; IL-4, -12, -18Inhibit EC migration, IFN-adown-regulates bFGFProthrombin kringle 2 antithrombin fragmentSuppresses EC growthProlactin fragment; secreted protein {acidic and rich in cysteine) fragmentInhibits bFGF and VEGF; inhibitsEC binding and activity of VEGF(NOTE: Ang, angiopoietin; bFGF, b-fibroblast growth factor; EC. endothelial cells; ECM, extracellular matrix; IFN, interferon; IL, interleukin; Meth, metalloproteinase and thrombospondin; MMP, matrix metalloproteinase; NP. neuropilin; P1GF, placental growth factor; TGF, transforming growth factor; TSP, thrombospondin; VEGF, vascular endothelial growth factor; VEGFR, vascular endothelial growth factor receptor)